Kyasanur forest disease (KFD) is transmitted by-
1. Fleas
2. Mosquitoes
3. Ticks
4. Mites

Correct answer: 3. Ticks

Explanation: Kyasanur forest disease is a tick-borne viral hemorrhagic fever currently confined to a small focus in Karnataka ,India .Monkeys are the principal hosts. Clinical features include hemorrhage ,pulmonary oedema, neurological features ,iridokeratitis in survivors. Reference: Harrison20th edition pg 987